Pulmonary plethora is not seen in:
1. VSD
2. TOF
3. Truncus arteriosus
4. TAPVC

Correct answer: 2. TOF

Explanation: Ref: Pediatric Cardiology by Myung K.Park 5th edition: page no.217Explanation:Cyantic heart disease with increased pulmonary blood flowDouble outlet right ventricle (DORV) with sub pulmonary VSD (Taussig-Bing anomaly)Total anomalous pulmonary venous return (TAPVR);Transposition of the great arteries (TGA)Single ventricle (without PS)Persistent truncus arteriosus type ICyantic heart disease with decreased pulmonary blood flowTetralogy of Fallot (TOF)Ebstein's anomalyPulmonary atresiaTricuspid atresiaTGA and PSPersistent truncus arteriosus (type II or III)Single ventricle and PSCyanotic heart disease with increased pulmonary blood flow and acyanotic heart disease with left to right shunt (VSD, ASD, PDA) are associated with pulmonary plethora.- Cyanotic heart disease with decreased pulmonary blood flow are associated with pulmonary oligemia.